Hanging drop method is used for-
1. Trichomonas
2. Plasmodium
3. Toxoplasma
4. Cryptosporidium

Correct answer: 1. Trichomonas